Tourniquet test is carried out?
1. To know platelet count
2. To measure clotting time
3. To measure capillary-platelet interphase
4. To measure clot retraction

Correct answer: 3. To measure capillary-platelet interphase